Schiller-Duval bodies are seen in-
1. Teratoma
2. Seminoma
3. Yolk sac tumour
4. Chorio Carcinoma

Correct answer: 3. Yolk sac tumour

Explanation: Yolk sac tumor of the testis: Raised a-fetoprotein level (AFP). Schiller-Duval bodies. Schiller-Duval body: It is the characteristic feature of the endodermal sinus tumor. This is a glomerulus-like structure composed of a central blood vessel enveloped by germ cells within a space lined by germ cells. Endodermal sinus tumor: 1. Schiller-Duval body 2. PAS-positive hyaline droplets Ref: RAM DAS NAYAK EXAM PREPARATORY MANUAL FOR UNDERGRADUATES 2nd ed. pg no: 684